To eradicate measles the percentage of population to be caccinated is at least ______% -
1. 70
2. 80
3. 85
4. 95

Correct answer: 4. 95

Explanation: Eradication of measles:- The following guidelines are important in combating measles: 1. Achieving an immunisation rate of over 95% 2. On going immunisation against measles through successive generations of children. It is believed that measles like small pox is amenable to eradication. Measles immunization has in its favour the fact that only one dose is needed and that a measles vaccine has now been developed which is more heat stable. It requires:- 1. Achieving an immunisation coverage of at least 96% of children under 1 year of age. 2. Cumulation in immunity gap be prevented. {Reference: park's textbook of preventive and social medicine, 23rd edition, pg no.149}